Barberio's test uses which of the following?
1. Picric acid
2. Acetic acid
3. Hydrochloric acid
4. Sulfuric acid

Correct answer: 1. Picric acid

Explanation: Ans. is 'a' i.e., Picric acid